Pyridoxine helps in generation of which coenzyme?
1. FAD
2. ATP
3. NAD
4. None

Correct answer: 3. NAD

Explanation: Pyridoxine acts as coenzyme for many reactions in amino acid metabolismPyridoxal phosphate is required for the synthesis of niacin from tryptophan (one vitamin is necessary for synthesis of another vitamin) (Figs17.8 and 17.9). 3-hydroxy kynurenine - 3-hydroxy anthranilic acid (Enzyme Kynureninase). Kynureninase is a PLP dependent enzyme. Hence in vitamin B6 deficiency niacin production is less. Moreover, kynurenine cannot be converted further, which is metabolized to xanthurenic acid and excreted through urine.Ref: DM Vasudevan - Textbook of Biochemistry, 6th edition, page no: 397